Diseases under WHO surveillance include
1. Rabies
2. Mumps
3. Hepatitis
4. Tetanus

Correct answer: 1. Rabies

Explanation: Diseases under WHO surveillance Polio Rabies Relapsing fever Influenza Salmonella Malaria Louse born typhus Ref: Park's Textbook of Preventive and Social Medicine; 24th edition